Before eruption the position of permanent mandibular incisor buds relative to primary incisors is:
1. Superior and facial
2. Inferior and facial
3. Superior and lingual
4. Inferior and lingual

Correct answer: 4. Inferior and lingual